In a population of 200 people with normal distribution. How many people would be included in 1 SD
1. 136
2. 140
3. 150
4. 190

Correct answer: 1. 136

Explanation: Ans. a. 136